A 25 yr old female presented with malaise and generalized weakness since 6 months. Her appetite is reduced and she has giddiness and palpitations on and off. There was no organomegaly. Laboratory study showed normochromic to hypochromic anaemia, RDW=60, and MCV=50. What is the diagnosis ?
1. Thalasemia minor
2. Iron deficiency anaemia
3. Chronic malaria
4. Folate deficiency

Correct answer: 2. Iron deficiency anaemia